Which of the following enzyme is not a protein ?
1. Carboxypeptidase
2. Amylase
3. Ribozyme
4. DNAase

Correct answer: 3. Ribozyme

Explanation: Ans. is 'c' i.e.,Ribozyme Enzymes are natural thermolabile, biological catalysts. They are protein or polypeptide in nature, except for a few, i.e., ribozyme is not a protein but a RNA molecule with catalytic activity. enzymes are secreted by living cells.